About dermatophytes all are true execpt
1. Candida albicans usually cause systemic infection
2. Dermatophytes involve superficial layers of skin
3. Microsporum doesn't involve nail
4. Epidermophyte doesn't involve hair

Correct answer: 1. Candida albicans usually cause systemic infection

Explanation: A i.e. Candida albicans usually cause systemic infection Candidiasis may present as buccal creamy curd like pseudomembrane (thrush) or thickness, erosion & discoloration of web space (erosio interdigitalis blastomycetica)Q. It is most common fungal infection of female genital tract. Amphotericin B is drug of choice in systemic candidiasisQ.